Hallmark of tuberculous inflammation are all, except:
1. Caseous necrosis
2. Langhan's cells
3. Epithelioid cell granuloma
4. Liquefactive necrosis

Correct answer: 4. Liquefactive necrosis